What is the most common presentation of congenital hypothyroidism?
1. Prolongation of physiological jaundice
2. Wide open posterior fontanelle
3. Enlarged tongue and feeding problems
4. Asymptomatic at birth

Correct answer: 4. Asymptomatic at birth

Explanation: Most commonly infants with congenital hypothyroidism are asymptomatic at birth Few cases present with prolongation of physiological jaundice, feeding issues, hypotonia, enlarged tongue and umbilical hernia which are now diagnosed by biochemical screening. Permanent neurological damage may occur if it is left untreated. Cardiac and other congenital malformations are also more common in these infants.Heel prick test is done on day 3 of life onwards and levels of TSH and T4 are measuredto detect asymptomatic congenital hypothyroidism.